Type of neuron present in the autonomic ganglion:
1. Unipolar
2. Bipolar
3. Multipolar
4. Apolar

Correct answer: 3. Multipolar

Explanation: Ans: C (Multipolar) Ref: Gray's Anatomy, 40th edition, pg. 225Explanation:Autonomic ganglia appear as bulbous dilatations in autonomic nerves.Some are located within certain organs, especially in the walls of the digestive tract, where they constitute the intramural ganglia.These ganglia are devoid of connective tissue capsules, and their cells are supported by the stroma of the organ in which they are found. Embryogenic Origin of Eye structuresSurface ectodermNeural ectodermMesodermNeural crest* Conjunctival epithelium* Comeal epithelium* Crystalline lens* Tarsal glands* Lacrimal glands* Iris epithelium* Ciliary epithelium* Sphincter papillae* Dilator pupillae* Part of vitreous* Part of retina* Part of RPE* Part of optic nerve* Extraocular muscle* Corneal stroma* Sclera* Iris stroma* Choroid* Vessels* Part of vitreous* Corneal endothelium* Trabecular meshwork endothelium* Ciliary muscle* Part of vitreous* Uveal melanocytes* Meningeal sheaths of optic nerve* Ciliary ganglionAutonomic ganglia usually have multipolar neuronsAs with craniospinal ganglia, autonomic ganglia have neuronal perikaryons with fine Mssl bodiesA layer of satellite cells frequently envelops the neurons of autonomic ganglia.In intramural ganglia, only a few satellite cells are seen around each neuron.